Drug (s) used in the treatment of multiple myeloma is/are -a) Bortezomibb) Melphalanc) Hydroxyoread) Ketoconazolee) Cyclophosphamide
1. abc
2. abe
3. cde
4. acd

Correct answer: 2. abe